Microalbuminuria is defined as amount of the albumin passing in urine
1. 30-Mar
2. 30-300
3. 400-400
4. 800-1200

Correct answer: 2. 30-300

Explanation: (30-300): (687 Harsh Mohan 6th edition)MICROALBUMINURIA - refers to the excretion of amounts of albumin too small to detect by urinary dipstick or conventional measures of urine protein. It is a good screening test for early detection of renal disease and may be a marker for the presence of microvascular disease in generalMacroalbuminuria (ie albuminuria > 150 mg/day or random urine albumin / creatinine ratio of > 300 mg/gm creatinine)Microalbuminuria estimated by radio immunoassay ie microalbumin 30-300 mg/day or random urine microalbumin / creatinine ratio of 30-300 mg/gm creatinine.